Which of the following microbes is the most common cause of gastroenteritis in children?
1. Reoviruses.
2. Picornaviruses.
3. Togaviruses.
4. Paramyxoviruses.

Correct answer: 1. Reoviruses.

Explanation: The most common cause of gastroenteritis in children is the rotavirus. It is found in the reovirus family.